The treatment of choice for Tension Pneumothorax is
1. Wide bore needle insertion in 2nd intercostal space
2. Thoracotomy
3. Intubation with IPPV
4. ICD

Correct answer: 1. Wide bore needle insertion in 2nd intercostal space

Explanation: Classical management of tension pneumothorax is emergent chest decompression with needle thoracostomy. A 14-16G intravenous cannula is inserted into the second rib space in the mid-clavicular line. The needle is advanced until air can be aspirated into a syringe connected to the needle Ref Davidson edition23rd pg 627